Chloroquine retinopathy
1. Not associated with other CNS reactions
2. Vision loss recovers
3. Progression of retinopathy after cessation of medication
4. All of the above

Correct answer: 3. Progression of retinopathy after cessation of medication

Explanation: Vision loss rarely recovers.
Associated with other CNS reactions.